Which strain of yeast is found in the root canal:
1. Candida albicans
2. Cryptococcus
3. Histoplasma
4. Actinomyces

Correct answer: 1. Candida albicans